Teardrop sign is seen in:
1. Fracture medial wall of orbit
2. Fracture lateral wall of orbit
3. Fracture floor of orbit
4. Fracture roof of orbit

Correct answer: 3. Fracture floor of orbit

Explanation: Ans. Fracture floor of orbit